According to WHO, blindness is defined as:
1. Visual acuity of less than 1/60
2. Visual acuity of less than 3/60
3. Visual acuity of less than 6/60
4. Visual acuity of less than 6/18

Correct answer: 2. Visual acuity of less than 3/60

Explanation: Ans. B: Visual acuity of less than 3/60 As per WHO, blindness is defined as Visual acuity of less than 3/60 in the better eye with befit possible correction.